Amount of blood loss when the clot is of fist size:
1. 100-200 ml
2. 250-300 ml
3. 300-400 ml
4. 400-500 ml

Correct answer: 4. 400-500 ml

Explanation: Ans. 400-500 ml